Which one of the following is the common cause of Congenital Hydrocephalus is ?
1. Craniosynostosis
2. Intra uterine Meningitis
3. Aquedectal stenosis
4. Malformations of Great vein of Galen

Correct answer: 3. Aquedectal stenosis

Explanation: Aqueductal stenosis is the most common cause of congenital hydrocephalus.